Most common complication of cadwell-luc operation is:
1. oroantral fistula
2. Infraorbital nerve palsy
3. Hemorrhage
4. Orbital cellulitis

Correct answer: 2. Infraorbital nerve palsy

Explanation: Most common complication of Caldwell-Luc operation is injury to infraorbital nerve which occurs is 21% cases. Ref.Scott Brown 7/e,Vol 2,p1494.